Which of the following is not a mandibular major
connector
1. Lingual plate
2. Lingual bar
3. Lingual arch
4. Labial bar

Correct answer: 3. Lingual arch